Radiation induced cataract is
1. Shield cataract
2. Antrior polar cataract
3. Posterior Subcapsular cataract
4. Alport syndrome

Correct answer: 3. Posterior Subcapsular cataract

Explanation: Radiation can cause Posterior subcapsular cataract Lens is the most sensitive part of eye for radiation induced damage Miscellaneous Cataract important for PGMEE * Sunflower cataract: Wilson disease, chalcosis. * Polychromatic Lusture- Complicated cataract * Corticosteroid: Posterior subcapsular cataract. (Topical steroids cause glaucoma, systemic steroids cause cataract more) * Galactosemia: Oil drop cataract * Anterior lenticonus- Alport * Posterior Lenticonus- Lowe Syndrome * Rosette Cataract: Blunt trauma * Shield cataract- Atopic dermatitis. * Radiation can cause PSC cataract. * Persistent hyaloid artery: Cause of Posterior polar cataract * Myotonic Dystrophy: Christmas Tree Cataract (mimics the lights on a christmas tree) * Posterior polar cataract: Persistent hyperplastic primary vitreous * Snow storm/Snow flake cataract: Diabetes